Which of the following is not a sign of reversible cell injury?
1. ATP depletion
2. Cell shrinkage
3. Fatty acid deposition
4. Reduction of phosphorylation

Correct answer: 2. Cell shrinkage

Explanation: Ans. (b) Cell shrinkage(Ref: Robbins 9th/38;8th/pg 17)Features of reversible cell injury seen in light microscopy are cellular swelling and fatty change.Cell shrinkage is a feature of apoptosis (cell death)